Which of the following muscles is responsible for abduction of vocal cord
1. Posterior cricoarytenoid
2. Lateral  cricoarytenoid
3. Cricoarytenoid
4. Transverse arytenoid

Correct answer: 1. Posterior cricoarytenoid